A 43-year-old 190 cm man post a flight to Chennai presents with left-sided chest discomfort and dyspnea. On chest X-ray, there is a small area devoid of lung markings in the apex of the left lung. Diagnosis is?
1. Spontaneous pneumothorax
2. Myocardial infarction
3. Acute cor pulmonale
4. Aortic dissection

Correct answer: 1. Spontaneous pneumothorax

Explanation: Ans. A Spontaneous pneumothoraxRef: CMDT 2019 pg. 325Spontaneous pneumothorax occurs from a rupture of an apical pleural bleb and is associated with tall, young males and is also seen with aeroplane ascent.